Hemiballismus is due to lesion in
1. Ipisilateral caudate nucleus
2. Contralateral sub-thalamic lesion
3. Contralateral putamen
4. Ipsilateral sub-thalamic lesion

Correct answer: 2. Contralateral sub-thalamic lesion

Explanation: Answer- B. Contralateral sub-thalamic lesionSub-thalamic nucleus- Contralateral hemiballismus